Most common variety of mesenteric cyst is?
1. Enterogenous
2. Chylolymphatic
3. Dermoid
4. Urogenital remnant

Correct answer: 2. Chylolymphatic

Explanation: Answer- B. ChylolymphaticChylolymphatic is the most common variety , probably arising in the congenitally misplaced lymphatic tissue that has no eferent communication with the lymphatic system (most frequently in mesentery of ileum)."